After PD Surgery patient immediate recall is done after
1. 1 week
2. 2 weeks
3. 3 weeks
4. 4 weeks

Correct answer: 1. 1 week